Which of the following is not a feature of Crohn's disease?
1. Spiking fever
2. Enterovesical fistula/ Fecaluria
3. Perianal tags
4. Proctitis

Correct answer: 4. Proctitis

Explanation: Crohn's disease - Intraabdominal abscess causing spiking fever (High grade with chills & rigor) Hallmark - Fistula formation (Peri-anal fistula) - Fecaluria (Communication between the gut and Bladder; stool will come in urine) -Rectum is spared -MC part involve is T. ileum -Proctitis- usually a feature of UC. MC part involve in UC is Rectum.